Choroidal neovascularization is seen in all except –
1. Trauma
2. Angiod streak
3. Myopia
4. Hypermetropia

Correct answer: 4. Hypermetropia

Explanation: Causes of choroidal neovascularization 

Age-related macular degeneration (ARMD)-most significant          
Angioid Streaks                                                                                           
Choroidal rupture (trauma)                                                                      
Pathological myopia
Chorioretinal scars
Intraocular inflammation
Chorioretinal dystrophy